The drug NOT used for analgesia in a head injury patient is -
1. Morphine
2. NSAIDS
3. Rofecoxib
4. Acetaminofen

Correct answer: 1. Morphine

Explanation: Ans. is 'a' i.e., Morphine